Split laceration resembles:
1. Incised wound
2. Abrasion
3. Gunshot wound
4. Contusion

Correct answer: 1. Incised wound

Explanation: Ans. Incised wound